Ducts of Bellini are found in -
1. Kidneys
2. Liver
3. Thymus
4. Spleen

Correct answer: 1. Kidneys

Explanation: Ans. is 'a' i.e., Kidneys Ducts Of Bellini* Papillary (collecting) ducts are anatomical structures of the kidneys, previously known as the ducts of Bellini.* Papillary ducts represent the most distal portion of the collecting duct system.* They receive renal filtrate (precursor to urine) from several medullary collecting ducts and empty into a minor calyx.* Papillary ducts continue the work of water reabsorbtion and electrolyte balance initiated in the collecting tubules.